Selective media for MYCOBACTERIUM
1. Sabourauds medium
2. Agar - agar
3. Lowenstein Jensen medium
4. Loefflers serum slope

Correct answer: 3. Lowenstein Jensen medium